Basal ganglia is involved primarily in:
1. Planning and programming of voluntary movements
2. Processing of cognitive functions
3. Sensory-motor integration
4. Language function

Correct answer: 1. Planning and programming of voluntary movements

Explanation: Planning and programming of voluntary